A 70 year old female presents with a lesion on cheek with pearly raised border & telangiectasia on surface of lesion.Diagnosis is:
1. Basal cell carcinoma
2. Squamous cell carcinoma
3. Actinic keratosis
4. Wart

Correct answer: 1. Basal cell carcinoma

Explanation: Lesion with pearly border associated with telangiectasia suggests of Basal cell carcinoma.